Clostridium botulinum toxin mode of action is by:
1. Presynaptic block
2. Postsvnaptic block
3. Competitive inhibition of acetylcholine
4. Destruction of acetylcholine

Correct answer: 1. Presynaptic block

Explanation: Ans: A i.e. Presynaptic block Cl. Botulinum toxin acts by blocking the production/ release of acetylcholine at the synapses & neuromuscular junctions